Statutory rape is
1. Rape of an insane woman
2. Sexual intercourse with wife, without consent
3. Sexual intercourse with minor
4. Sexual intercourse by threatening

Correct answer: 3. Sexual intercourse with minor

Explanation: Statutory Rape is defined in Section 375 of Indian Penal Code, (amendment of 2013) which states that "any male, who does an intercourse with any female who is below the age of 18, with or without her consent will be constituting a Statutory Rape". Circumstances falling under any of the following seven descriptions are considered rape under 375 IPC Against her will. Without her consent. With her consent, when her consent has been obtained by putting her or any person in whom she is interested, in fear of death or of hurt. With her consent, when the man knows that he is not her husband and that her consent is given because she believes that he is another man to whom she is or believes herself to be lawfully married. With her consent when, at the time of giving such consent, by reason of unsoundness of mind or intoxication or the administration by him personally or through another of any stupefying or unwholesome Substance, she is unable to understand the nature and consequences of that to which she gives consent. With or without her consent, when she is under eighteen years of age. When she is unable to communicate consent. Ref: Krishnan vij Textbook of Forensic Medicine and Toxicology; 5th ed; Page no: 46,309